The adverse effects of thalidomide include following except
1. Diarrhea
2. Hypothyroidism
3. Deep Venous Thrombosis
4. Neutropenia

Correct answer: 1. Diarrhea

Explanation: Constipation